Skimmed milk is devoid of:
1. Fat
2. Carbohydrate
3. Protein
4. Vitamin B12

Correct answer: 1. Fat

Explanation: Milk from which fat has been removed is known as skimmed milk. It is devoid of fat and fat soluble vitamins but a good source of calcium and proteins. Ref: Park, 22nd edition pg: 584